True about anorexia nervosa are all EXCEPT:
1. Female: male ratio is 2:1
2. Leukopenia
3. Self-induced vomiting
4. Amenorrhea

Correct answer: 1. Female: male ratio is 2:1

Explanation: ANSWER: (A) Female: male ratio is 2:1REF: Kaplan and sadock's synopsis in psychiatry 10th ed p. 727-728Anorexia Nervosa: Anorexia nervosa is a syndrome characterized by three essential criteria.DSM-IV-TR Diagnostic CriteriaREFusal to maintain body weight at or above a minimally normal weight for age and height less than 85% of that expectedIntense fear of gaining weight or becoming fat. even though underweight.In postmenarcheal females, amenorrheaTypeRestricting type: during the current episode of anorexia nervosa, the person has not regularly engaged in binge-eating or purging behavior (i.e., self-induced vomiting or the misuse of laxatives, diuretics, or enemas)Binge-eating/purging type: during the current episode of anorexia nervosa, the person has regularly engaged in binge-eating or purging behavior (i.e., self-induced vomiting or the misuse of laxatives, diuretics, or enemas)EpidemiologyIt occurs 10 to 20 times more often in females than in malesMost common age of onset is between 14 and 18 yearsComplicationsCachexiaCardiac arrhythmiasDelayed gastric emptying, bloating, constipation, abdominal painAmenorrheaLeukopeniaLanugo (fine baby-like hair over body), edemaAbnormal taste sensation (zinc deficiency)OsteoporosisElectrolyte abnormalities, particularly hypokalemic, hypochloremic alkalosis; hypomagnesemiaErosion of dental enamelSeizures (related to large fluid shifts and electrolyte disturbances)